True about HIV:
1. Not transmitted through semen
2. More chances of transmission during LSCS than normal labour
3. More infectious than hepatitis B
4. Male to female transmitted > female to male

Correct answer: 4. Male to female transmitted > female to male

Explanation: Ans. is. 'd' i.e., Male to female transmission > female to male transmission(Ref: Harrison, 18th/e, p. 1510, 1512, 1515; 17th/e, p. 1143)* Male to female transmission is approximately eight times more efficient than female to male transmission.* Seminal fluid (Semen) and vaginal fluid can transmit the infection.* Caesarean section (LSCS) results in decreased transmission from mother to infant.* After percutaneous injury Hepatitis B virus is more infectious than HIV.HBV - 6 to 30% chance of transmission.HCV - 1.8%.HIV - 0.3%.